Opening of mental foramen is directed in:
1. Forward and medial direction.
2. Forward and lateral direction.
3. Backward and medial direction.
4. Backward and lateral direction

Correct answer: 4. Backward and lateral direction